Amount of K+ in ringer lactate is
1. 2
2. 4
3. 5
4. 6

Correct answer: 2. 4

Explanation: Ringer lactate solution include a concentration of 4mEq/L.